What is the amount of trisodium citrate dihydrate in WHO ORS?
1. 1.5 gm
2. 2.5 gm
3. 2.9 gm
4. 3.9 gm

Correct answer: 3. 2.9 gm

Explanation: Ans. C. 2.9 gm. (Ref Paediatrics by OP Ghai 7th/pg. 263; KD Tripathi 5th ed. 618)NEW ORS BY WHOCONTENTAMOUNTGlucose13.5gmNaCI2.6 gmTrisodium citrate2.9 gmSoda bicarb-KCL1.5gmNa+75 mMolesK+20 mMolesCl-65 m MolesCitrate10 mmolesGlucose75 mMolesTotal Osmolality245 mosm/LCOMPARISON BETWEEN LOW OSMOLARITY ORS AND WHO-ORSIngredients of ORS solutionConcentration of various ingredients in ORS solution (mmol/L)Low osmolarity ORS (new)WHO-ORS (old)Sodium7590Potassium2020Chloride6580Citrate1010Glucose75111ReSoMal (Recommended ORS solution in severe malnutrition)ComponentsReSoMal (mMol/L)Standard ORSGlucose125111Sodium4590Potassium4020Chloride7080Citrate710Mg3-Zinc0.3-Copper0.045-Osmolarity300311